Maximum & minimum score in Glasgow coma scale is?
1. 15 & 0
2. 14 & 3
3. 15 & 3
4. 15 & 1

Correct answer: 3. 15 & 3

Explanation: Ans. (c) 15 & 3Ref: Schwartz 9thed table 42-2, Sabiston 18thed table 20-2